Osteomalacia is associated with -
1. Decreases in osteoid volume
2. Decrease in osteoid surface
3. Increase in osteoid maturation time
4. Increase in mineral apposition rate

Correct answer: 3. Increase in osteoid maturation time

Explanation: First, see the structural composition of the bone.

Bone is made up of : -

Organic matrix (Protein matrix also called osteoid): - This is mainly made up of collagen and non-collagen protein.
Inorganic matrix (mineral) : - Hydroxyapatite .

Bone cells.

As osteoid (organic matrix) does not contain mineral (hydroxyapatite), it is also called unmineralized bone.
Mineralization of osteoid forms the complete mineralized bone.
In rickets/osteomalacia mineralization of osteoid is defective, i.e., the osteoid formation is normal, but mineralization of osteoid is defective.
On the other hand, In scurvy, Collagen synthesis is defective. Collagen is the major constituent of osteoid. Thus, In scurvy osteoid formation is defective.
In osteoporosis, resorption is increased from the fully formed bone. Therefore, both the organic matrix (osteoid) as well as non-organic minerals are decreased.